Most common complication of common bile duct exploration
1. Retained stone
2. Pancreatitis
3. Stricture of CBD
4. T-tube displacement

Correct answer: 1. Retained stone

Explanation: Most common complication of CBD exploration is retained stone Clearance of all common bile duct stones is achieved in 75-95% of patients with laparoscopic CBD exploration The rate of retained CBD stone is <5% Ref: Sabiston 20th edition Pgno :1496